Acrodermatitis entero pathica is d/t deficiency of:
1. Zn
2. Se
3. Cu
4. Cr

Correct answer: 1. Zn

Explanation: A. i.e. Zn Autosomal recessiveQ disorder acrodermatitis enteropathica d/t deficiency of zinc0 is characterized by diarrhea, depression, eczematous dermatitis, alopecia and lethargy. (Mn- DEAL). Zn supplementation rapidly improves conditionQ.